Smallest diameter of true pelvis-
1. Bispinous
2. Oblique
3. Transverse
4. Anteroposterior

Correct answer: 1. Bispinous

Explanation: Ans. is 'a' i.e., Bispinous